Which carrier pump is transporting solutes in thick ascending limb of Henle loop?
1. Carrier pump Na-K-2Cl transporter.
2. NaCl- cotransporter
3. Na2+-H+ exchanger
4. Na2+-K+ exchanger

Correct answer: 1. Carrier pump Na-K-2Cl transporter.

Explanation: Carrier pump Na-K-2Cl transporter. REABSORPTION IN THICK ASCENDING LIMB: Sodium, Potassium & Chloride reabsorption: By "Secondary active transport" - Through Na2+-K+-2Cl-- carrier transporter. Transports one Na2+, one K+, & two Cl-. Active sodium absorption occurs. 30% filtered Na2+ reabsorbed. Ref: Guyton 12th Ed.